"Herald patch" is a characteristic feature of Repeated
1. Pityriasis rubra pilaris
2. Psoriasis
3. Lichen planus
4. Pityriasis rosea

Correct answer: 4. Pityriasis rosea

Explanation: Herald patch or mother patch is a characteristic feature of Pityriasis rosea Pityriasis rosea is a type of skin rash.Classically, it begins with a single red and slightly scaly area known as a "herald patch". This is then followed, days to weeks later, by a pink whole body rash. It typically lasts less than three months and goes away without treatment. Sometime a fever may occur before the start of the rash or itchiness may be present, but often there are few other symptoms The symptoms of this condition include: An upper respiratory tract infection may precede all other symptoms in as many as 69% of patients. A single, 2- to (rarely) 10-cm oval red "herald" patch appears, classically on the abdomen.Occasionally, the "herald" patch may occur in a 'hidden' position (in the armpit, for example) and not be noticed immediately. The "herald" patch may also appear as a cluster of smaller oval spots, and be mistaken for acne. Rarely, it does not become present at all. 7-14 days after the herald patch, many small (5-10 mm) patches of pink or red, flaky, oval-shaped rash appear on the torso. The more numerous oval patches generally spread widely across the chest first, following the rib-line in a characteristic "christmas-tree" distribution. Small, circular patches may appear on the back and neck several days later. In 6% of cases an "inverse" distribution may occur, with rash mostly on the extremities. In children, presentation can be atypical or inverse, and the course is typically milder. About one in four people with PR have mild to severe symptomatic itching. (Moderate itching due to skin over-dryness is much more common, especially if soap is used to cleanse the affected areas.) The itching is often non-specific, and worsens if scratched. This tends to fade as the rash develops and does not usually last through the entire course of the disease. The rash may be accompanied by low-grade fever, headache, nausea and fatigue Ref Harrison 20th edition pg 1290